Lateral ventricle is connected to third ventricle by
1. Foramen of Monro
2. Foramen of luschka
3. Foramen of magendie
4. Median foramen

Correct answer: 1. Foramen of Monro

Explanation: The lateral ventricle communicates with the third ventricle through interventricular foramen MonroThe foramen of luschka is an aperture through which the lateral recess opens into the subarachnoid space of cerebellopontine angleForamen of magendie is an opening in the roof of 4th ventricle through which its cavity communicates with the subarachnoid space of cerebellomedullary cistern.( Reference: Vishram Singh textbook of clinical neuroanatomy 2nd edition pg -137,121)